All of the following are anatomical markers for localization of facial nerve during parotid surgery, except
1. Posterior belly of Digastric
2. Mastoid process
3. Inferior belly of omohyoid
4. Bony external auditory meatus

Correct answer: 3. Inferior belly of omohyoid

Explanation: Landmarks commonly used to aid identification of the trunk of the facial nerve are: 1The inferior portion of the cartilaginous canal. This is termed Conley's pointer and indicates the position of the facial nerve, which lies 1cm deep and inferior to its tip. 2The upper border of the posterior belly of the digastric muscle. Identification of this muscle not only mobilises the parotid gland, but also exposes an area immediately superior, in which the facial nerve is usually located.Facial nerve lies 1 cm deep to the medial attachment of Posterior belly of digastric to the digastric groove of mastoid Bailey & Love ,25th,763